Definition of AUTISTIC child is?
1. Incapacitating communication and emotional problem
2. Most severly handicapping condition
3. Disorder in one or more psychological processes
4. Chronic recurrent and Paraxysmal changes in neurologic function

Correct answer: 1. Incapacitating communication and emotional problem